Which of the following investigation is not necessary for investigating optic neuritis?
1. MRI head and orbit
2. ESR
3. USG B scan
4. Visual Fields

Correct answer: 3. USG B scan

Explanation: USG B scan is not useful for evaluating optic neuritis. MRI head and orbit is needed for evaluation of optic neuritis to rule out MS. ESR- |sed in infectious causes of optic neuritis. Visual fields are used for follow up and extent of vision loss. OCT (Optical coherence tomography)- used to see amount of optic nerve edema.